All of the following are true about anopheles type of mosquito Except –
1. Eggs are boat shaped and provided with lateral floats
2. Larvae rest parallel to water surface
3. Larvae have siphon tube
4. Pupae have broad and short siphon

Correct answer: 3. Larvae have siphon tube